What is a Marjolin's ulcer?
1. It is a trophic ulcer
2. Meleney's gangrene
3. Malignant ulcer found on infected foot
4. Malignant ulcer found on the scar of burn

Correct answer: 4. Malignant ulcer found on the scar of burn

Explanation: Marjolin's ulcer is a malignant ulcer found on the scar of burns. It is also used to describe carcinomatous change occurring at the edge of a chronic venous ulcer. Chronic ulceration of old burn scars was noted by Marjolin to lead frequently to malignant degeneration. Most common type of cancer associated with it is squamous cell carcinoma, basal cell carcinomas can occur occasionally. Approximately 30 percent of burn scar carcinomas occur in the head and neck. They may metastasize aggressively. Treatment involves wide excision, but prophylactic regional node dissection has not improved mortality. Adjuvant radiotherapy was found to improve survival. Ref: Schwartz's Principles of Surgery, 9th Edition, Chapter 9; Applied Basic Science for Basic Surgical Training By Andrew T. Raftery, Page 49.